Green blue postmortem discoloration is seen in which poisoning -
1. Cyanide
2. Carbon monoxide
3. Phosphorous
4. Hydrogen sulphide

Correct answer: 4. Hydrogen sulphide

Explanation: Ans. is 'd' i.e., Hydrogen sulphide o Color of post-mortem staining in various poisoning:POISONCOLORCarbon mono-oxide and hypothermiaCherry redHCN, bumsBright redNitrites, potassium chlorate, potassium bicarbonateChocolate orNitrobenzene, acetanilide, bromates, aniline (causing methaemoglobinuria)Copper brownPhosphorousDark brown or yellowHydrogen sulphideBluish green